Following are the findings in later stages of sickle cell Anemia, except -
1. Fish vertebra
2. Enlarged heart
3. Splenomegaly usually seen
4. Leukocytosis

Correct answer: 3. Splenomegaly usually seen

Explanation: Ans. is 'c' i.e., Splenomegaly usually seen o Splenomegaly is found in early stage of sickle cell anemia. By continued infarction and hypoxia leads to progressive scarring and shrinkage of spleen, so that by adolescent or the adulthood, only a small nubbin of fibrous tissue may be left; this is called autosplenctomy. o Bone changes in sickle cell anemia are : - (i) Crew haircut appearance of skull bone. (ii) Fish mouth vertebrae. o Cardiomegaly, particularly increase in left ventricular dimension and mass results from increase in cardiac output caused by chronic anemia and has its onset in early childhood. o The WBC count is consistently elevated owing to an increase in the number of mature granulocytes. This increase is explained to a large extent by a shift of granulocytes from the marginated to the circulating compartments